A 2 year old child is being evaluated for persistent metabolic acidosis. Blood tests show Na+ 140mEq/l. K+ 3mEq/l, Ca2+ 8mg/l, Mg+2 mEq/l. phosphate 3 mEq/l, pH 7.22, bicarbonate 16mEq/l and chloride 112mEq/l. The plasma anion gap is:
1. 9
2. 15
3. 22
4. 25

Correct answer: 2. 15

Explanation: Anion gap is the unmeasured anions in plasmaAnion gap = (Na++K+) - (Cl-+HCO3-) = (140+3) - (16+112) = 15Normal is 10-12 mmol/LRef: Harrison's 18/e p365, 17/e p289,290